Granulomatous amoebic encephalitis is caused by
1. Balamuthia mandrillaris
2. Naegleria fowleri
3. Entamoeba histolytica
4. Entamoeba coli

Correct answer: 1. Balamuthia mandrillaris

Explanation: (A) Balamuthia mandrillaris# Granulomatous amoebic encephalitis is a central nervous system disease caused by certain species of amoeba, especially Balamuthia mandrillaris.> GAE may present in numerous ways. GAE. GAE can present with: focal paralysis, seizures, brainstem symptoms, and other neurological problems, some of which may mimic glioma (especially brainstem glioma), or other brain diseases, which may hamper timely diagnosis. These symptoms are caused by inflammatory necrosis of brain tissue brought on by amoebic infiltrates.